Which is associated with nonalcoholic steatohepatitis ?
1. Amiodarone therapy
2. Thin body habitus
3. Phenytoin sodium therapy
4. Right hemicolectomy

Correct answer: 1. Amiodarone therapy

Explanation: NAFLD is strongly associated with overweight/obesity and insulin resistance. Other causes are: * Hepatitis C (particularly genotype 3) * Inborn errors of metabolism (Galactosemia, Glycogen storage disease, Hereditary fructose intolerance, Homocystinuria ..etc) * Medications (Cytotoxic and cytostatic drugs, Metals, Amiodarone, Oestrogen, Tamoxifen, Glucocorticoids, Highly active antiretroviral therapy..etc) * Inflammatory bowel disease * Lipodystrophy * Bacterial overgrowth * Starvation * Parenteral nutrition * Surgical procedures (Biliopancreatic diversion, Extensive small-bowel resection, Gastric bypass, Jejunoileal bypass) * Reye's syndrome * Acute fatty liver of pregnancy * HELLP syndrome ref : Harrison 20th ed pg: 2056